All are seen in primary extraglandular Sjogren syndrome except -
1. Rheumatoid arthritis
2. Raynaud's phenomena
3. Lymphoma
4. Splenomegaly

Correct answer: 1. Rheumatoid arthritis

Explanation: Ans. is 'a' i.e., Rheumatoid arthritiso Primary Sjogren syndrome is not associated with other autoimmune disorders, e.g. Rheumatoid arthritis. o Sjogren syndrome occurs in elderly (50-60 yrs)female.